Treatment of choice for sarcoma botryoides is
1. Surgical excision
2. Radio therapy
3. Chemotherapy
4. Palliative therapy

Correct answer: 3. Chemotherapy

Explanation: Ans is 'c' i.e., ChemotherapySarcoma BotryoidesSarcoma botryoides is a rare tumour seen in children.This tumour arises in the mesenchymal tissues of the vagina and in rare cases, in the cervix before the age of 2 years.It presents as a haemorrhagic grape-like polyp or as a fleshy mass and consists of rhabdomyoblasts with vacuolated cytoplasm, myxoedema and stroma with fusiform cells.The tumour spreads by local infiltration, lymphatics and blood stream.Examination is done under anaesthesia; biopsy confirms the diagnosis. CT and MRI indicate its spread.Treatment. Chemotherapy with VAC (vincristine, adriamycin and cyclophosphamides) is the gold standard in treating this tumour. Other drugs used are cisplatin, actinomycin, cyclophosphamide and ifosfamide.Surgery is limited to the local residual tumour. Intersti- tial radiation is used in advanced stage.